Syrijet ,Madjet is an example of:
1. EMLA.
2. Jet injections.
3. Dentipatch.
4. WAND.

Correct answer: 2. Jet injections.